Consolidation period in Distraction osteogenesis is defined as?
1. Time period between surgical osteotomy & starting of distraction.
2. Time period between starting of distraction to the completion of distraction.
3. Time period for completion of distraction process.
4. Time period between distraction and functional loading of the area.

Correct answer: 4. Time period between distraction and functional loading of the area.